All of the following are seen in adrenal insufficiency except
1. Hyperkalemia
2. Fever
3. Weight gain
4. Postural hypotension

Correct answer: 3. Weight gain

Explanation: Refer Harrison 19th/ p 2325 Adrenal insufficiency results in weight loss